A multigravida at term with transverse lie and hand prolapse with fetal heart sound of 140/min is best managed by :
1. Internal podalic version
2. Cesarean section
3. External cephalic version
4. Breech extraction

Correct answer: 2. Cesarean section

Explanation: Cesarean section